False among the following statement
1. Milk is poor source of iron
2. Egg is poor source of vitamin c
3. Soyabean is a pulses
4. Vitamin A is used as prophylaxis for Lathyrism

Correct answer: 4. Vitamin A is used as prophylaxis for Lathyrism

Explanation: Vitamin C is used as prophylaxis for Lathyrism